Antidote of paracetamol poisoning
1. Flumazenil
2. N-acetyl cysteine
3. Nalexone
4. Sodium bicarbonate

Correct answer: 2. N-acetyl cysteine

Explanation: i.e. (N- acetyl cysteine): (680 - Ghai 7th)Overdosage of PCM is treated with N-acetyl cysteine used orally within 16 hour after ingestion at a loading dose of 140 mg/ Kg diluted to 5% solution orally. Followed by 70 mg /Kg q 4hr for another 2 daysPCM is the most common analgesic, antipyretic used in childrenParacetamol produces a hghly reactive toxic minor metabolites - N-acetyl benzoquinone amine. Normally this metabolite is detoxified by conjugation with glutathione - when a very large doses of paracetamol is taken glucuronidation capacity is saturated and this metabolite is not detoxified (Hepatic glutathione is depleted)|Excess metabolite N acetyl benzoquinone** binds to protein in liver cells (and renal tubules)|Centrilobular hepatic necrosis**This single most important laboratory test in patient who present after acetaminophen is the acetaminophen level in the serum.Antidotes for common poisoningPoison Antidote* Acetaminophen (PCM)N- acetyl cysteine* AnticholinergicsPhysostigmine* BenzodiazepinesFlumazenil* DigoxinDigoxin immune antibody* MethemoglobinemiaFragnent* OpioidsMethylene blue* OrganophosphatesNaloxone* SalicylatesAtropine* Ethylene glycolSodium bicarbonates* MethanolFomepizole